A trained dai centers for a population of -
1. 1000
2. 2000
3. 3000
4. 4000

Correct answer: 1. 1000

Explanation: After successfully completing the training each dai is provided with a delivery kit and a certificate.These dais are also expected to play a vital role in propagating small-family norm since they are more acceptable to the community.The national target is to train one local dai in each village (refer pgno:903 park 23rd edition)